Cellulitis is
1. A suppurative invasive infection of skin and subcutaneous tissues
2. A nonsuppurative invasive infection of tissues
3. Infection caused by Gram negative bacilli
4. Infection caused by anaerobic Streptococci

Correct answer: 2. A nonsuppurative invasive infection of tissues

Explanation: Ans. (b) A nonsuppurative invasive infection of tissues(Ref: Bailey and Love 27th Edition Page 48)* Cellulitis is a non suppurative invasive infection of Tissues, related to point of injury.* Poor localisation and spreading infection seen.* Caused by Beta Hemolytic Streptococci, Staphylococci and Clostridium perfringens.* Toxemia- Fever, Chills are common.* Blood Culture is negative.